Blood transfusion should be completed within hours of initiation
1. 1- 4 hours
2. 3- 6 hours
3. 4- 8 hours
4. 8- 12 hours

Correct answer: 1. 1- 4 hours

Explanation: Ans. is 'a' i.e., 1-4 hours